A displaced, unfavorable fracture in the mandibular angle region is a potentially difficult fracture to treat because of
1. Injury to neurovascular bundle
2. Malocclusion secondary to injury
3. Distraction of fracture segments by muscle pull.
4. Increased density of bone in this region of mandible

Correct answer: 3. Distraction of fracture segments by muscle pull.